Life threatening intravascular hemolysis occurs with sepsis due to which organism?
1. Clostridium perfringens
2. Mycoplasma pneumonia
3. Pseudomona
4. Klebsiella

Correct answer: 1. Clostridium perfringens

Explanation: Life threatening intravascular hemolysis due to a toxin with lecithinase activity is seen in Clostridium perfringens sepsis. Ref: Harrison's principles of internal medicine, 18th edition, Page 881